Dinoprostone is -
1. PG El
2. PGE2
3. PGF2 alpha
4. PG 12

Correct answer: 2. PGE2

Explanation: Ans. is 'b' i.e., PG E2 Dinoprostone (PG E2)* For the purpose of cervical ripening and induction, dinoprostone gel (PGE2 = 0.5 mg), tablets and dinoprostone inserts (10 mg) are available.* The gel can be repeated every 6 hourly for 2-3 doses as required.